Succinylcholine is used with caution in all except –
1. Mysthenia gravis
2. Burns
3. Crush injury
4. Tachycardia

Correct answer: 4. Tachycardia

Explanation: Sch is the only muscle relaxant that causes vagal stimulation → Causes bradycardia. (attenuates tachycardia & hypertension).
In burns, crush injury and mysthenia gravis can cause severe hyperkalemia.